You have been referred a middle-aged patient to rule out open angle glaucoma. Which of the following findings will help in the diagnosis:
1. Cupping of the disc
2. Depth of anterior chamber
3. Visual acuity and refractive error
4. Angle of the anterior chamber

Correct answer: 1. Cupping of the disc

Explanation: Appearance of cupping of disc will help for diagnosis. Ref: Textbook of Ophthalmology By Nema, 3rd Edition, Page 175